Which of the following drug belongs to antifolate group of antimicrobials?
1. Erythromycin
2. Doxycycline
3. Pyrimethamine
4. Gentamicin

Correct answer: 3. Pyrimethamine

Explanation: ANTIMICROBIALS INHIBITING METABOLISM a. FOLIC ACID SYNTHASE INHIBITORS i. SULFONAMIDES ii. DAPSONE iii. PAS b. DI HYDRO FOLATE REDUCTASE INHIBITORS i. TRIMETHOPRIM ii. PYRIMETHAMINE